All of the following cause basal ganglia calcification except?
1. Hyperparathyroidism
2. Leigh's disease
3. Wilson's disease
4. Cysticercosis

Correct answer: 3. Wilson's disease

Explanation: Wilson's disease does not cause basal ganglia calcification.